Which of the following is the shortest acting mydriatic among the following:
1. Atropine.
2. Homatropine.
3. Cyclopentolate.
4. Tropicamide.

Correct answer: 4. Tropicamide.